Iron stores are best indicated by
1. Serum ferritin
2. Serum iron
3. Serum transferrin
4. TIBC

Correct answer: 1. Serum ferritin

Explanation: Serum ferritin reflects the storage of iron which is decreased in Iron deficiency anaemia.
It is the most sensitive marker.